Which is the most common organ involved in sarcoidosis?
1. Lung
2. Eye
3. Liver
4. Bone

Correct answer: 1. Lung

Explanation: ANSWER: (A) LungREF: Harrisons 18th Ed Ch: 332Important points about clinical manifestations of sarcoidosis:The presentation of sarcoidosis ranges from patients who are asymptomatic to those with organ failureRespiratory complaints including cough and dyspnea are the most common presenting symptoms. Lung involvement occurs in >90% of sarcoidosis patientsSymptoms related to cutaneous and ocular disease are the next two most common complaints. Skin involvement is eventually identified in over a third of patients with sarcoidosisAlthough sarcoidosis can affect any organ of the body, rarely does it involve the breast, testes, ovary, or stomach.Nonspecific constitutional symptoms include fatigue, fever, night sweats, and weight loss. Fatigue is perhaps the most common constitutional symptom that affects these patients. Given its insidious nature, patients are usually not aware of the association with their sarcoidosis until their disease resolvesFREQUENCY OF ORGAN INVOLVEMENTOrganPresentation, %Lung95Skin24Eye12Extrathoracic lymph node15Liver12Spleen7Neurologic5Cardiac2